Which of the following is the causative organism of acute mesenteric lymphadenitis?
1. E-Coli
2. V-Cholera
3. Hemophilus
4. Yersinia

Correct answer: 4. Yersinia

Explanation: Acute mesenteric lymphadenitis is caused by Yersinia enterocolitica or Yersinia pseudotuberculosis. It can also cause ileitis, colitis and acute appendicitis. Acute mesentric lymphadenitis is often confused with acute appendicitis in children. Reference: Schwartz's Principles of Surgery, 9e chapter 30.